Straite cortex is involved in which function?
1. Vision
2. Auditory
3. Smell
4. Speech

Correct answer: 1. Vision

Explanation: ANSWER: (A) VisionREF: Guyton 12th Ed. Pg 624PRIMARY VISUAL CORTEX is also called visual area I or striate cortex because of the highly striated appearance.The primary visual (VI) cortex is mostly located on the medial aspect of the occipital lobe, and is coextensive with the subcortical nerve fibre stria of Gennari in layer IV, hence its alternative name, the striate cortex.It occupies the upper and lower lips and depths of the posterior part of the calcarine sulcus and extends into the cuneus and lingual gyrus. Posteriorly it is limited by the lunate sulcus, and by polar sulci above and below this sulcus. It extends to the occipital pole.The primary visual cortex receives afferent fibres from the lateral geniculate nucleus via the optic radiation. The latter curves posteriorly and spreads through the white matter of the occipital lobe. Its fibres terminate in strict point-to-point fashion in the striate areaThe primary visual cortex is divided into six functionally distinct layers, labeled 1 through 6. Layer 4, which receives most visual input from the lateral geniculate nucleus (LGN), is further divided into 4 layers, labelled 4A, 4B, 4Ca, and 4Cb. Sublamina 4Ca receives most magnocellular input from the LGN; while layer 4Cb receives input from parvocellular pathways .The striate cortex is granular.Layer IV, bearing the stria of Gennari, is commonly divided into three sublayers. Passing from superficial to deep, these are IVA, 1VB (which contains the stria), and JVC. The densely cellular I VC is further subdivided into a superficial I VCa and a deep IVCb. Layer IVB contains only sparse, mainly non-pyramidal, neurones. The input to area 17 from the lateral geniculate nucleus terminates predominantly in layers IVA and IVC.